Call Exner body is seen in which of the following tumors?
1. Dysgerminoma
2. Yolk sac tumor
3. Granulosa cell tumor
4. Embryonal cancer

Correct answer: 3. Granulosa cell tumor

Explanation: Cell Exner Body-Granulosa cell tumor Schiller Duval Body-Yolk sac tumor Coffee Bean Nucleus -Granulosa cell tumor Reinke crystal-Hilus cell tumor Walthard Nest-Brenner Tumor Psammoma Body-Serous Cystadenoma